All produce carpal tunnel syndrome except -
1. Colle' s #
2. Acromegaly
3. Addisons disease
4. Hypothyroidism

Correct answer: 3. Addisons disease